All of the following are false regarding prasugrel, except:-
1. Not much metabolism in body
2. Slow onset of action than clopidogrel
3. Reversible inhibitors of ADP
4. Contraindicated in cerebrovascular accident

Correct answer: 4. Contraindicated in cerebrovascular accident

Explanation: Irreversible ADP receptor antagonists(P2Y12 receptor antagonist) are: * Prasugrel * Clopidogrel Both are prodrugs, so the metabolite formed inhibits the ADP receptor. Prasugrel is faster acting than clopidogrel and it has very high risk of causing cerebral haemorrhage. So, it is contraindicated in stroke or cerebrovascular accident. Reversible inhibitors of ADP receptor are: * Ticagrelor * Canegrelor